Trauma from occlusion causes vascular changes in the periodontium with in
1. 45 minutes
2. 60 minutes
3. 30 minutes
4. 10 minutes

Correct answer: 3. 30 minutes